Hypersensitivity vasculitis involves -
1. Capillary
2. Arterioles
3. Postcapillary venules
4. Medium sized arteries

Correct answer: 3. Postcapillary venules